Cholera toxin –
1. increase the levels of intracellular cyclic GMP
2. Act through opiate receptor
3. causes continued activation of adenyl cyclase
4. inhibit the enzyme phosphodiesterase

Correct answer: 3. causes continued activation of adenyl cyclase